Dye used in IV cholangiography is
1. Conray
2. Diansoil
3. Biligraffin
4. Myodil

Correct answer: 3. Biligraffin

Explanation: Iponoic acid is used in oral cholecystography Biligraffin is used in IV cholangiography Ref: Sabiston 20th edition Pgno :1487